The EEG cabins should be completely shielded by a continuous sheet of wire mesh of copper to avoid the picking of noise from external electromagnetic distrubances. Such a shielding is called as -
1. Maxwell cage
2. Edison's cage
3. Faraday cage
4. Ohm's cage

Correct answer: 3. Faraday cage